The palatine tonsil receives its arterial supply from all of the following except
1. Facial
2. Ascending palatine
3. Sphenopalatine
4. Dorsal lingual

Correct answer: 3. Sphenopalatine

Explanation: Tonsil supplied by 5 arteries 1. Tonsilar branch of the facial artery, ( main artery) 2. Ascending pharyngeal artery from the external carotid 3. Ascending palatine, branch of the facial artery 4. Dorsal linguae branches of the lingual artery 5. Descending palatine branch of the maxillary artery. (Ref: Diseases of Ear, Nose and Throat, PL Dhingra; 7th edition, page 291)